One of your staff nurse had a deep prick from the needle used to inject an HIV positive individual. What is the treatment regime that should be started in her/him? Note that drug resistance was suspected in the HIV patient.
1. 2 NRTIs for 3 months
2. 1 NRTI and 1 NtRTI for 28 days
3. 2 NRTIs + 1 protease inhibitor for 28 days
4. 2 protease inhibitor + 2 NtRTIs for 3 months

Correct answer: 3. 2 NRTIs + 1 protease inhibitor for 28 days

Explanation: In this scenario ARVs should be initiated as soon as possible and no later than 72 hours. It should include 2 NRTI drugs. If drug resistance is suspected a protease inhibitor should also be added. The duration of treatment is 28 days. If the blood sample drawn from the exposed person is HIV negative at the time of exposure, the test should be repeated at 3 and 6 months. Ref: Park, Edition 21, Page - 328